Which of the following is a mono synaptic reflex?
1. Deep  tendon reflex
2. Inverse stretch reflex
3. Flexor-withdrawl reflex
4. None of the above

Correct answer: 1. Deep  tendon reflex